Drug useful in breast cancer is :
1. Tamoxifen
2. Cyproterone
3. Testosterone
4. Chlorambucil

Correct answer: 1. Tamoxifen